Which of the following drug is given subcutaneously for diabetes
1. Glipezide
2. Rapaglenide
3. Exenatide
4. Vildagliptin

Correct answer: 3. Exenatide

Explanation: GLP 1 analogs like exenatide, liraglutide, dulaglutide are given by SC injection Pramlintide- amylin analog is also given as an injection REF KD Tripathi 8th ed